Which of the following is second generetion H1? antihistaminic -
1. Cetrizine
2. Promethazine
3. Cinnarizine
4. Pheneramine

Correct answer: 1. Cetrizine

Explanation: Ans. is 'a' i.e., Cetrizine